Indication for liver transplantation in an infant is
1. Alcohol cirrhosis
2. Biliary cirrhosis
3. Biliary atresia
4. Hematochromatosis

Correct answer: 3. Biliary atresia

Explanation: Most common indication for liver transplantation in children - Biliary atresia in adults - Cirrhosis Ref : Bailey & Love 25/e p1426